The most appropriate circuit for ventilating a spontaneously breathing infant during anaesthesia is?
1. jackson Rees modification of Ayre's T piece
2. Mapleson A or Magill's circuit
3. Mapleson C or Waters to and fro canister
4. Bains circuit

Correct answer: 1. jackson Rees modification of Ayre's T piece

Explanation: Ans. is 'a' i.e., Jackson Rees modification